The latch bridge mechanism helps in which of the following in smooth muscles?
1. Initiation of contraction
2. Sustained contraction
3. Early dephosphorylation
4. None of the above

Correct answer: 2. Sustained contraction

Explanation: Latch bridge mechanism is one in which myosin cross bridges remain attached to actin for some time after cytoplasmic Ca2+ concentration falls. This causes sustained contraction with little ATP. This is of importance in smooth muscles. Ref: Ganong's, Review of medical physiolgy, 21st Edition, Page 84